An unimmunized, 2-year-old boy presents with drooling from the mouth, elevated temperature, and enlarged tonsils. During attempts at intubation, no gray-white membrane is observed but the epiglottis appears "beefy" red and edematous. Which of the following is the most likely organism?
1. Haemophilus haemolyticus
2. Haemophilus influenzae
3. Klebsiella pneumoniae
4. Mycoplasma pneumoniae

Correct answer: 2. Haemophilus influenzae

Explanation: Haemophilus influenzae is a gram-negative bacillus. In young children, it can cause pneumonitis, sinusitis, otitis, and meningitis. Occasionally, it produces a fulminative laryngotracheitis with such severe swelling of the epiglottis that tracheostomy becomes necessary. Clinical infections with this organism after the age of 3 years are less frequent, especially since approval of the type b vaccine. Haemophilus haemolyticus is a hemolytic variant of H. influenzae which that only occasionally causes disease. Klebsiella pneumoniae is present in about 5% of individuals and causes about 1% of pneumonias. Treponema pneumoniae is a prominent cause of pneumonia in persons 5 to 20 years old. Neisseria meningitidis can be part of the oral flora but is significant in disease when it enters the bloodstream and CNS.